Which of the following is not used for the treatment of insulin induced hypoglycemia ?
1. Intravenous glucose
2. Glucagon
3. Adrenaline
4. Oral carbohydrates

Correct answer: 3. Adrenaline